Von Gierke's disease is due to the deficiency of
1. Gluc-6 phosphatase
2. Glue-1 phosphatase
3. Branching enzyme
4. Mycophosphorylase

Correct answer: 1. Gluc-6 phosphatase

Explanation: Glycogen storage disease type I (GSD I) or von Gierke's disease, is the most common of the glycogen storage diseases. This genetic disease results from deficiency of the enzyme glucose-6-phosphatase and has an incidence in the American population of approximately 1 in 100,000 births.Ref: DM Vasudevan, 7th edition, page no: 128